A neonate with multiple congenital anomalies has severe pulmonary hypoplasia of one lung. This is MOST likely secondary to which of the following congenital problem?
1. Diaphragmatic defect
2. Endocardial cushion defect
3. Esophageal atresia
4. Gastroschisis

Correct answer: 1. Diaphragmatic defect

Explanation: Significant defects in the diaphragm are fortunately rare, but can provide a large enough hole to allow passage of stomach or loops of bowel into the chest cavity. When this happens, the developing lung is compressed, and may not develop properly. Endocardial cushion defects cause severe cardiac malformation. Esophageal atresia may be related to bronchial maldevelopment, but does not cause pulmonary hypoplasia. Gastroschisis is the extrusion of abdominal contents through an opening in the anterior abdominal wall.